Emesis is not contraindicated in
1. Kerosene poisoning
2. Nux vomica poisoning
3. Oxalic acid poisoning
4. arsenic poisoning

Correct answer: 4. arsenic poisoning

Explanation: Emesis should be used only if there is difficulty in obtaining gastric lavage. Vomiting can be produced if the medullary centers are still responsive. Due to danger of aspiration of gastric contents, vomiting should only be induced in a conscious patient. Contraindications: Severe heart and lung diseases. Advanced pregnancy. Kerosene poisoning In cases of CNS depression, seizures or rapidly acting CNS poisons (camphor, cyanide, tricyclicantidepressants, propoxyphene and strychnine).